A patient is brought to the emergency room after being found by search and rescue teams. He was mountain climbing, got caught in a sudden snowstorm, and had to survive in a cave. He had no food for 6 days. In adapting to these conditions, which metabolic process has increased rather than decreased?
1. The brain's use of glucose
2. Muscle's use of ketone bodies
3. The red blood cells' use of glucose
4. The brain's use of ketone bodies

Correct answer: 4. The brain's use of ketone bodies

Explanation: In the starvation state, muscle decreases the use of ketone bodies, causing an elevation of ketone bodies in the bloodstream. The brain uses the ketone bodies for energy and uses less glucose, decreasing the need for gluconeogenesis and thus sparing muscle protein degradation to provide the precursors for gluconeogenesis. Red blood cells cannot use ketone bodies and must utilize glucose. Therefore, the use of glucose by red blood cells would be unchanged under these conditions.